Chronic Burrowing ulcer is caused by
1. Microaerophilic streptococci
2. Peptostreptococcus
3. Streptococcus viridans
4. Streptococcus pyogenes

Correct answer: 1. Microaerophilic streptococci

Explanation: Microaerophilic streptococci (Burrowing ulcer / Maleny's ulcer is caused by synergistic infection of microaerophilic non hemolytic streptococci and aerobic hemolytic streptococci)